Choana is -
1. Anterior nares
2. Posterior nares
3. Tonsils
4. Larynx

Correct answer: 2. Posterior nares

Explanation: Internal nose is divided into right and left nasal cavities by nasal septum.
Each nasal cavity communicates with the exterior through nares or nostrils and with nasopharynx through posterior nasal aperture or posterior nares or choana.